Which of the following is absolutely essential for wound healing?
1. Vitamin D
2. Carbohydrates
3. Vitamin C
4. Vitamin E

Correct answer: 3. Vitamin C

Explanation: Fibroblasts require vitamin C to produce collagen. There is an increase in the tensile strength of the wound due to increased collagen, which is at first deposited in a random fashion and consists of type III collagen. The remodelling phase is characterised by maturation of collagen (type I replacing type III until a ratio of 4:1 is achieved). There is a realignment of collagen fibres along the lines of tension Bailey and love 26th edition pg :25